Vicarious responsibility pertains to:
1. Patient's, contribution towards negligence
2. Hospitals contribution towards patient's damage
3. Responsibility for actions of a colleague
4. Responsibility of senior for actions of junior

Correct answer: 4. Responsibility of senior for actions of junior

Explanation: Ans. Responsibility of senior for actions of junior